Therapeutic hypothermia is useful in preventing neurological complication in
1. Sepsis
2. Poly trauma
3. Cardiac arrest
4. Ischemic stroke

Correct answer: 3. Cardiac arrest

Explanation: Therapeutic hypothermia (also called targeted temperature management) refers to deliberate reduction of the core body temperature, typically to a range of about 32deg to 34deg C (89.6deg to 93.2deg F) in patients who don't regain consciousness after return of spontaneous circulation following a cardiac arrest. Hypothermia also is used to treat newborns with perinatal asphyxia; however, this article focuses on its use in adults. Hypothermia counteracts neuroexcitation in brain cells by stabilizing calcium and glutamate release, reducing the degree of cell death. It also stabilizes the blood-brain barrier and suppresses the inflammatory process, reducing cerebral edema. Cerebral metabolism decreases 6% to 10% for every degree Celsius that body temperature drops. As cerebral metabolism declines, the brain needs less oxygen. In essence, hypothermia counteracts many of the destructive mechanisms of cardiac arrest. Its effects resemble those of cardiac defibrillation, which makes the heart stop and then reset itself to a normal rhythm. Similarly, hypothermia halts destructive brain mechanisms and lets the brain reset itself to normal functioning. Therapeutic hypothermia occurs in three phases--induction, maintenance, and rewarming. Clinicians must control hypothermia and rewarming to prevent potential adverse effects, such as arrhythmias and skin breakdown during the cold phases (induction and maintenance) and rapid electrolyte shifts during the rewarming phase. Temperature should be monitored with a method that measures core temperature, such as use of an esophageal, bladder, or pulmonary artery catheter. REF - pubmed.com , medlineplus.com